Which of the following tumor is associated with abscopal effect?
1. Chronic myeloid leukemia
2. Chronic lymphocytic leukemia
3. Acute lymphoblastic leukemia
4. Acute myelogenous leukemia

Correct answer: 2. Chronic lymphocytic leukemia

Explanation: Abscopal effect - when spleen is exposed to any kind of damage, spleen synthesizes certain growth factors required for proliferation of tumor cells. Therefore, when spleen is irradiated - decrease release of GF - Decrease in size of tumour. Associated with - CLL